What is the method of sampling in which the units are picked up at regular intervals from the universe?
1. Simple random sampling
2. Systematic random sampling
3. Stratified random sampling
4. Snow ball sampling

Correct answer: 2. Systematic random sampling

Explanation: Systematic sampling is a type of probability sampling method in which sample members from a larger population are selected according to a random starting point but with a fixed, periodic interval. Ref: 25th edition, Park's Textbook of Preventive and Social Medicine, Page no. 913